Prevention of surgical wound infection done by ?
1. Pre-op shaving
2. Pre-op antibiotic therapy
3. Monofilament sutures
4. Wound apposition

Correct answer: 2. Pre-op antibiotic therapy

Explanation: Giving antibiotics prior to surgery (prophylactic antibiotics) one hour before surgery has been identified as an intervention for prevention of surgical site infections. Shaving is now avoided and clipping of hair is preferred. Preop bath, Blood glucose control, and maintaining normothermia (esp in colorectal surgery) are other useful measures.